Erythropoietin is/are produced by
1. Juxtaglomerular cells
2. Interstitial cells of the peritubular capillary bed of the kidneys
3. Pars recta of PCT
4. Macula densa

Correct answer: 2. Interstitial cells of the peritubular capillary bed of the kidneys

Explanation: Ans. (b) Interstitial cells of the peritubular capillary bed of the kidneys(Ref. Ganong25th edp.701)Major source of erythropoietin is Interstitial cells of the peritubular capillary bed of the kidneys